Pulp space infection painful due to?
1. Dense fibrous septae
2. Small phalynx
3. Rich blood supply
4. Rich nerve supply

Correct answer: 1. Dense fibrous septae

Explanation: Ans. is 'a' i.e., Dense fibrous septae Pulp space infection (felon) Pulp space infection with pus trapped between the specialised fingertip septae causes intense fingertip pain. It may lead to terminal phalangeal bone infection, erosion and sequestrumformation.The last of these will need to be drained and debrided. A common differential diagnosis with small vesicles and crusts is the self-resolving herpetic whitlow, especially in dental workers, caused by the herpes simplex virus.